False -ve hydrostatic test in live born fetus is for
1. Atelectasis
2. Meconium aspiration
3. Emphysema
4. Putrefaction

Correct answer: 1. Atelectasis

Explanation: A i.e. Atelectasis Hydrostatic (Raygat's) test is false negative in atelectasis & disease like acute pulmonary edema, pheumonia & congenital syphilis etcQ